Most common site of admantinomaof the long bones is
1. Femur
2. Ulna
3. Tibia
4. Fibula

Correct answer: 3. Tibia

Explanation: Ameloblastoma---most common site jaw Ameloblastoma---most of long bones---called adamantinoma and is most common in tibial diaphysis Refer Orthopedic pathology 6th/e 449